Hyperlysinemia may be associated with:
1. Subluxation of the lens
2. Spherophakia
3. Strabismus
4. All of the above

Correct answer: 4. All of the above

Explanation: Ans. All of the above